Which of the following statements is true about isotypic variation ?
1. These result due to subtle amino acid changes resulting from allelic differences
2. These result due to changes in amino acid in heavy and light chain at variable region
3. Changes in heavy and light chain in constant region is responsible for class and subclass of immunoglobulins
4. These are areas in antigen that bind specifically to antibody

Correct answer: 3. Changes in heavy and light chain in constant region is responsible for class and subclass of immunoglobulins